Connective tissue that supports epithelium is:
1. Basement membrane.
2. Lamina propria.
3. Submucosa.
4. All of the above

Correct answer: 2. Lamina propria.